Which of the following statement is false about submandibular sialadenitis
1. Viral infections are more common
2. Bacterial occurs due to stone
3. Painful swelling
4. None of the above

Correct answer: 1. Viral infections are more common

Explanation: Bacterial infections are more common due to obstruction by stone.
Mumps is the most common viral cause.